High stepping gait is seen in- DELETE
1. CTEV
2. Common peroneal nerve palsy
3. Polio
4. Cerebral palsy

Correct answer: 2. Common peroneal nerve palsy

Explanation: *High stepping gait is seen is palsy of common peroneal nerve or sciatic nerve.